False but firm belief about something which is not a fact:
1. Illusion
2. Delusion
3. Hallucination
4. Obsession

Correct answer: 2. Delusion

Explanation: Ans. Delusion